A 26 year old man died suddenly during sporting activity. At autopsy the heart revealed chamber and septum Hypertrophy. The most likely diagnosis is
1. HOCM
2. DCM
3. Arrhythmogenic cardiac problem
4. Restrictive cardiomyopathy

Correct answer: 1. HOCM

Explanation: Answer is A. (HOCM): Sudden death following competitive sports in young individuals is characteristic of hypertrophic obstructive cardiomyopathy (HOCM). The presence of chamber and septal hypertrophy on autopsy confirms the suspected diagnosis of HOCM